Mechanism of action of Ezetimibe is
1. Interferes with absorption of bile acids
2. Inhibits CETP
3. Interferes with absorption of cholesterol by inhibiting NPC1L1
4. Inhibitor of PPAR - α

Correct answer: 3. Interferes with absorption of cholesterol by inhibiting NPC1L1

Explanation: Ezetimibe inhibits NPC1L1 (Niemann Pick C1 Like1) protein present in intestinal epithelial cells that aids cholesterol absorption.